Contraindication for applying forceps:
1. Crowning of head
2. Head station +1
3. Maternal cardiac disease
4. CPD

Correct answer: 4. CPD

Explanation: Ans. D: CPDMnemonic for FORCEPS:Favourable head position and station Open os (fully dilated)Ruptured membranesContractions present and Consent Engaged head, Empty bladderPelvimetry-no major CPDStirrups, lithotomy positionThe following are contraindications to forceps-assisted vaginal deliveries:Any contraindication to vaginal delivery.Refusal of the patient to verbally consent to the procedureCervix not fully dilated or retractedInability to determine the presentation and fetal head positionInadequate pelvic sizeConfirmed cephalopelvic dispropoionUnsuccessful trial of vacuum extraction (relative contraindication)Absence of adequate anesthesia/analgesiaInadequate facilities and support staffInexperienced operator